Mission Indradhanush is for
1. non communicable disease
2. universal immunization
3. Family planning
4. safe water and sanitization

Correct answer: 2. universal immunization

Explanation: ref : park 21st ed